Not true regarding influenza virus is -a) All types exhibit antigenic shiftb) Only type A shows antigenic driftc) Drift is accumulation of point mutationsd) None of the above
1. ac
2. a
3. ab
4. bc

Correct answer: 3. ab

Explanation: Antigenic shift is seen only in Influenza 'A' virus.
Antigenic drift is seen in Influenza A and B.
Antigenic drift involves "point mutation" in the gene owing to selection pressure by immunity in the host population.
Influenza shows cyclic trend due to these antigenic variations
Type A epidemics every 2-3 years
Type B epidemics every 4-7 years
Type A pandemics every 10-15 years